Treatment of choice for chronic myeloid leukemia is:
1. Imatinib
2. Hydroxyl-urea
3. Interferon-alpha
4. Cytarabine

Correct answer: 1. Imatinib

Explanation: lmatinib :This novel antineoplastic drug inhibits the tyrosine protein kinases in chronic myeloid leukaemia (CML) cells and the ones that are activated by platelet derived growth factor (PDGF) receptor, stem cell receptor and c-kit receptor found in gastrointestinal stromal tumour (GIST), a rare tumour. Stricking success has been obtained in chronic phase of CML as well as in accelerated phase, and in metastatic kit-positive GIST. Adverse effects are fluid retention, edema, vomiting, abdominal pain, myalgia and liver damage. Dose: 400 mg/day with meal; accelerated phase of CML 600--800 mg/day. ESSENTIALS OF MEDICAL PHARMACOLOGY K.D.TRIPATHI SIXTH EDITION PAGE NO:828